Which of the following will have an organic cause?
1. Schizophrenia
2. Delirium
3. Anxiety
4. Obsessive compulsive disorder

Correct answer: 2. Delirium

Explanation: Ans: b (Delirium) RefAhuja,6th ed, p. 21, Kaplan & Sadock, 8th ed, p. 1060Delirium comes under category of organic mental disorders.DeliriumIt is the commonest organic mental disorder seen in clinical practice.Delirium is characterized by following symptoms:1. A relatively acute onset2. Clouding of consciousness3. Disorientation (most commonly in time than in place or person) associated with decreased attention span and distractibility.* Illusions, misinterpretations, and hallucinations also occur. These are commonly visual.* There is disturbance of sleep-wake cycle; most commonly insomnia at night with daytime drowsiness. Diurnal variation is marked, usually with worsening of symptoms in the evening and night called sun downing.* Psychomotor disturbance also occur* Autonomic dysfunction is present.The motor symptoms in delirium are asterixis, multifocal myoclonus, carpophagia or flocillation(picking movements at cover sheet and clothes), occupational delirium (acts of continuing usual occupation in bed) and tone and reflex abnormalities.DiagnosisAccording to ICD-10(lntemational Statistical Classification of Diseases and Related Health Problems) for definitive diagnosis of delirium, symptoms should be present in each one of the following areas:1. Impairment of consciousness and attention2 Global disturbance of cognition3. Psychomotor disturbances4. Disturbance of sleep wake cycle5. Emotional disturbances